31-year-old roofer comes with tenosynovitis that is result of a deep penetrated wound in the palm by a big nail. O/E he has an infection in the ulnar bursa. This infection most likely resulted in necrosis of which of the following tendons?
1. Tendon of flexor carpi ulnaris
2. Tendon of flexor pollicis longus
3. Tendon of flexor digitorum profundus
4. Tendon of palmaris longus

Correct answer: 3. Tendon of flexor digitorum profundus

Explanation: Ulnar bursa, or common synovial flexor sheath, contains the tendons of both flexor digitorum superficialis and profundus muscles. Radial bursa envelops tendon of the flexor pollicis longus. The tendons of flexor carpi ulnaris and palmaris longus are not contained in ulnar bursa.